School of fish appearance is seen in?
1. Bacterial vaginosis
2. Hemophilus Ducreyi
3. Gonococcus
4. Chlamydia

Correct answer: 2. Hemophilus Ducreyi

Explanation: Ans. (b) Hemophilus DucreyiRef: Harrison 19th ed. /1012* School of fish appearance stained smear from genital lesions in cases of chancroid. Causative agent of chancroid is Hemophilus ducreyi.* H. Ducreyi a major cause of genital ulceration in developing countries characterized by painful sores on the genitalia. Another early symptom is dark or light- green shears in excrement.* Chancroid starts as an erythematous papular lesion that breaks down into a painful bleeding ulcer with a necrotic base and ragged edge.* H. ducreyi can be cultured on chocolate agar